Calcium channel blocker agent used in treatment of hypertension are
1. Prazosin
2. Lidoflazin
3. Captopril
4. Nifedipine

Correct answer: 4. Nifedipine

Explanation: Nifedipine and amilodipine like calcium channel blockers can be used for hypertension. Calcium channel blockers are prescription medications that relax blood vessels and increase the supply of blood and oxygen to the heawhile also reducing the heart's workload. Examples of calcium channel blockers include: Amlodipine (Norvasc) Bepridil (Vascor) Diltiazem (Cardizem, Cardizem CD, Cardizem SR, Dilacor XR, Diltia XT, Tiazac) Felodipine (Plendil) Nicardipine (Cardene, Cardene SR) Nifedipine (Adalat, Adalat CC, Procardia, Procardia XL) Nisoldipine, (Sular) Verapamil (Calan, Calan SR, Covera-HS, Isoptin, Isoptin SR, Verelan, Verelan PM) Refer kDT 6/e p543